Pearl index is defined as
1. Accidental pregnancies per 1000 women-years of exposure
2. Accidental pregnancies per 100 women-years of exposure
3. Accidental pregnancies per 10 women-years of exposure
4. Accidental pregnancies per women-years of exposure

Correct answer: 2. Accidental pregnancies per 100 women-years of exposure